All are true regarding Acute flaccid paralysis in National polio Eradication programme except-
1. Acute flaccid paralysis in a child < 15 years ofage
2. All cases ofAFP should be reported irrespective of diagnosis within 6 months of onset stool
3. ↑ Two specimens collected within 14 days of paralysis onset and at least 24 hours apart
4. 30 days follow up examination

Correct answer: 4. 30 days follow up examination